Which of the following antibiotic acts by inhibition of cytoplasmic membrane function?
1. Penicillin
2. Polymycin
3. Streptomycin
4. Novobiocin

Correct answer: 2. Polymycin

Explanation: Polymyxin bacitracin acts by inhibiting cell membrane or plasma membrane Not cell wall Penicillin -cell wall,streptomycin-protein synthesis inhibition Ref: CP Baveja 4th ed Pg:625